Triple Marker test includes :
1. hCG, AFP, and unconjugated estriol
2. hCG, AFP, and unconjugated estradiol
3. hCG, PAPP-A, unconjugated estriol
4. Inhibin A, hCG & PAPP-A

Correct answer: 1. hCG, AFP, and unconjugated estriol

Explanation: Ans. is 'a' i.e., hCG, AFP, and unconjugated estriol Triple Marker Test* This is a screening test done between 16 and 18 weeks of gestation, mainly to identify a mother who is at a high risk of having a fetus with trisomy 21. It involves estimation of 3 hormones: HCG, AFP, and unconjugated estriol (UE3).InterpretationTrisomyhCGAFPUE3Down syndrome (T 21)|||Edward syndrome (T 18)|||